Which of the following, points towards female skull differentiating from male skull
1. Mastoid bigger
2. Prominent frontal eminence
3. Orbit square with round edges
4. Prominent jaw

Correct answer: 2. Prominent frontal eminence

Explanation: Features Female skull Male skull 1. Mastoid process small , pointed large , blunt 2. Frontal and parietal eminence Prominent less prominent 3. Orbits rounded, sharp margins square , round margins 4. Zygomatic arch Not prominent Prominent 5. Angle of body with ramus Not Prominent Prominent Frontal eminences & parietal eminences are more prominent in Females